For which one of the following tumours Gastrin is a biochemical marker -
1. Medullary carcinoma of thyroid
2. Pancreatic neuroendocrine tumour
3. Pheochromocytoma
4. Gastrointestinal stromal tumor

Correct answer: 2. Pancreatic neuroendocrine tumour

Explanation: Ans. is 'b' i.e., Pancreatic neuroendocrine tumour o Gastrin is secreted by Gastrinomas. o Gastrinomas are neuroendocrine tumors found in Duodenum (50 to 70%) Pancreas (20 to 40%) and Other intraabdominal sites (mesentry, lymphnodes, biliary tract, liver, stomach, ovary).